Color of nitrous oxide cylinder is
1. Black with white shoulders
2. White with black shoulders
3. Grey
4. Blue

Correct answer: 4. Blue

Explanation: Ans. d (Blue). (Ref. Short textbook of anesthesia by Ajay Yadav, 2nd ed., 21)Colour and pressure of cylindersSr. No.Anaesthetic gasColorPressure (bar) CyclopropaneOrange52.N2OBlue543.CO2Grey504.HalothaneAmber--5.EthyleneRed--6.HeliumBrown1377.O2Black body with white shoulder1378.Entonox (50%O2+50%N2O)Blue with white shoulder1379.AirGrey with white shoulder137Colour code for vaporizer of anaesthetic agents1. Red for /ralothane} 2. Orange for enflurane(HINT: ROPY HE-IS)3. Purple for isoflurane4. Yellow for sevoflurane